Streptococcus agalactiae belongs to the group:
1. A
2. B
3. C
4. D

Correct answer: 2. B

Explanation: Ans: b (Group B) Ref: Ananthanarayan, 7th ed. p. 204Streptococcus agalactiae belongs to Lancefield group B.Lancefield classification is based upon carbohydrate (C) antigen, but Griffith's serological typing is based on M protein.Group B (Streptococci agalactiae)* Virulence factor is polysaccharide capsule* Identified by CAMP ( Christine. Atkins and Munch - Peterson) reactionIn infants it causes two types of infection:- Early onset--more common, acquired from maternal vagina during birth.- Late onset--acquired from environmentMeningitis is the most common manifestation and in most cases is associated with strain of capsular Type 3.S. agalactiae is the most common cause of neonatal meningitis in west.TreatmentPenicillin is DOC for all group B streptococcal infection